PFK-I inhibitor ?
1. AMP
2. Citrate
3. Glucose 6 phosphate
4. Insulin

Correct answer: 2. Citrate

Explanation: Ans. is 'b' i.e., Citrate